AntiLKM antibody is seen in ?
1. Hepatitis A
2. Hepatitis C
3. Hepatitis D
4. Autoimmune hepatitis type II

Correct answer: 4. Autoimmune hepatitis type II

Explanation: Ans. is 'd' i.e., Autoimmune hepatitis type II